True about PPV is,
1. PPV is proportional to prevalence
2. PPV is Inversely proportional to prevalence
3. PPV has no relation with prevalence
4. PPV doubles with decrease in prevalence

Correct answer: 1. PPV is proportional to prevalence